Toxin associated with epidemic dropsy ?
1. BOAA
2. Sanguinarine
3. Aflatoxin
4. Pyrrozolidine

Correct answer: 2. Sanguinarine

Explanation: Ans. is 'b' i.e., Sanguinarine